Amino acid score of animal foods –
1. 40–50
2. 50–60
3. 70–80
4. 90–100

Correct answer: 3. 70–80

Explanation: Amino acid score (chemical score)

It is used for qualitative assessment of protein.
It is a measure of the concentration of each essential amino acid in the test protein expressed as a percentage of that amino acid in reference protein (egg protein).

Amino acid score = No. of mg of one amino acid per gm of protein / No. of mg of same amino acid per gm of egg protein x 100

The amino acid score is between 50 and 60 for starches and 70-80 for animal foods.